All the following are posterior relations of IIIrd part of Axillary artery except
1. Radial Nerve
2. Axillary Nerve
3. Ulnar Nerve
4. Teres Major and Subscapularis

Correct answer: 3. Ulnar Nerve

Explanation: Pectoralis minor divides the axillary artery into three partsRelations of Third PartAnterior1 Skin2 Superficial fascia3 Deep fascia4 In the upper part, there are the pectoralis major and the medial root of the median nerve Posterior1 Radial nerve 2 Axillary nerve in the upper Part3 Subscapularis in the upper Part4 Tendons of the latissimus dorsi and the teres major in the lower partLateral1 Coracobrachialis2 Musculocutaneous nerve in the upper part 3 Lateral root of median nerve in the upper part4 The trunk of the median nerve in the lower part.Medial1 Axillary vein2 Medial cutaneous nerve of the forearm and ulnar nerve, between the axillary artery the axillary vein3 Medial cutaneous nerve of arm, medial to the axillary veinReference: Vishram Singh Anatomy; 2nd edition; Page no: 50